Cista terminalis is present in
1. Right Atrium
2. Left Atrium
3. Right Ventricle
4. Left Ventricle

Correct answer: 1. Right Atrium

Explanation: Cista Terminalis is present in the right atrium. It is a muscular ridge that runs anteriorly along the atrial wall from the opening of the superior vena cava. It corresponds externally to Sulcus terminalis. It is the site of origin of pectinate muscles. It divides the right atrium into a smooth posterior part and a rough anterior part. Both the vena cavae empty into the posterior smooth part. Ref: Gray's Anatomy 41st edition. Pgno: 1000